Which of the following statement regarding umbilical cord is TRUE?
1. Two arteries
2. Umbilical cord pulsation rate corresponds to maternal pulsation rate
3. Covered by amnion and chorion
4. Two veins

Correct answer: 1. Two arteries

Explanation: Umbilical cord at term normally has two arteries and veins. At birth mature umbilical cord is approximately 50-60 cm in length and 12 mm in diameter. Single umbilical artery is seen in women with:DiabetesEpilepsy PreeclampsiaAntepartum hemorrhageOligohydramnios or hydramnios ANDChromosomal abnormalities Ref: Cunningham F.G., Leveno K.J., Bloom S.L., Hauth J.C., Rouse D.J., Spong C.Y. (2010). Chapter 3. Implantation, Embryogenesis, and Placental Development.